Broca's area is
1. 44 and 45
2. 40 and 42
3. 43 and 44
4. None

Correct answer: 1. 44 and 45

Explanation: Broca's area → Areas 44, 45
Wernicke's area  → Area 22